Which Is False about stress urinary incontinence -
1. More common in men
2. It occurs during increased abdominal pressure
3. It is due to weakening of pelvic floor muscles
4. Prostate surgery may be a cause

Correct answer: 1. More common in men

Explanation: Ans. is 'a' i.e., More common in men Stress incontinenceo Leaking urine upon sudden increase in abdominal pressureo It is most common type in women.Causes are -o Weakening of pelvic floor muscles / urethra / sphincter muscleso BPH, CA prostate or prostate surgery.